Ubiquitin is a small protein present in
1. All eukaryotes
2. All prokaryotes
3. Both 1 and 2
4. None of the above

Correct answer: 1. All eukaryotes